Which of the following agents is used to measure Glomerular Filtration Rate (GFR)?
1. Iodohippurate
2. Tc99m-DTPA
3. Tc99m-MAG3
4. Tc99m-DMSA

Correct answer: 2. Tc99m-DTPA

Explanation: Tc99m-Diethylene Triamine Pentothenic Acid (DTPA) is an agent of choice widely used in measuring GFR. Ref: Renal Disease: Techniques and Protocols By Michael S Goligorsky, Page 87; Paediatric Uroradiology By Richard Fotter, ALbert L Baert, Page 47